Three cusps arranged in triangle form:
1. Tritubercular stage
2. Triconodont
3. Buonodont
4. Polyphyodont

Correct answer: 1. Tritubercular stage

Explanation: In tritubercular stage 3 cusps are arranged in triangular form.